According to Child - pugh staging Child's B is
1. 6-May
2. 9-Jul
3. 11-Oct
4. 12-Sep

Correct answer: 2. 9-Jul

Explanation: CTP scoring system ClassA: 5-6 points ClassB: 7-9 points ClassC: 10-15 points Ref: Sabiston 20th edition Pgno :1436